MRI finding of Schizophrenia FALSE is
1. Increased ventricular volume
2. Cortical thickening
3. Reduced volume of temporal lobe
4. Reduced volume of hippocampal lobe

Correct answer: 2. Cortical thickening

Explanation: (B) Cortical thickening# MRI studies utilizing modern cortical surface reconstruction techniques have shown widespread reduction in cerebral cortical thickness (i.e., "cortical thinning") in frontal and temporal regions.> Whole brain and hippocampal volume are reduced and that ventricular volume is increased in patients with a first psychotic episoderelative to healthy controls.> Most schizophrenia studies have found average reduced volume of the left medial temporal lobe and left superior temporal gyrus, and half of studies have revealed deficits in certain areas of the frontal gyrus, parahippocampal gyrus and temporal gyrus.